Glands of Von Ebner are present in -
1. Cervix
2. Penile urethra
3. Tongue
4. Vagina

Correct answer: 3. Tongue

Explanation: Ans. is 'c' i.e., Tongue Glands of tongueo Several groups of the glands are present on the tongue.Anterior glandso Near the apex of the tongue anterior lingual glands are present.o These are glands of Blandin and A'uhn.o Anterior glands are mucous while posterior glands are mixed.o The ducts of glands open on the ventral surface of the tongue near the lingual ffenum.Posterior glandso These are found in the posterior part of the tongue near the vallate papillae or posterior to the sulcus terminalis.o These are purely mucous glands.o Their ducts open into the dorsal surface of the tongue.Von Ebner's gland (Ebner's gland)o These are purely serous glands opeing into the trough of vallate papillae,o The characteristic feature is that they secrete lingual lipase.